Allopurinol specifically inhibits which enzyme?
1. Xanthine oxidase
2. Arginase
3. Carbamoyl transferase
4. Urease

Correct answer: 1. Xanthine oxidase

Explanation: ESSENTIALS OF MEDICAL PHARMACOLOGY;7TH EDITION;KD TRIPATHI;PAGE NO 216